In Superfecundation:
1. Two ova in same menstrual cycle
2. Two ova in different menstrual cycle
3. Single ova in same menstrual cycle
4. Single ova in different menstrual cycle

Correct answer: 1. Two ova in same menstrual cycle

Explanation: Ans. (A). Two ova in same menstrual cycle(Ref: Essentials of forensic medicine & toxicology, KSN Reddy, 33rd edition; page 396)Superfecundation means multiple pregnancy resulting from the fertilization of two or more ova liberated in the same menstrual cycleFertilization of two ova discharged from the ovary at the same period of ovulation by two different acts of coitus committed at short intervals.Superfetation means the fertilisation of an ovum from a subsequent ovulation in a woman who is already pregnant, during the different menstrual cycle.